A patient with acute inferior wall myocardial infarction hag developed shock. Which of the following is the most likely cause of shock -
1. Cardiac rupture
2. Inteventricular septal perforation
3. Papillary muscle rupture
4. Right ventricular infarction

Correct answer: 4. Right ventricular infarction

Explanation: Ref: R Alagappan - Manual of Practical Medicine 4th Edition.pg no:188